Palatine tonsil not seen is:
1. Develops from second pharyngeal pouch
2. Branch of facial artery is main blood supply
3. Covered by fibrous capsule
4. Leads to ear pain due to Xth nerve

Correct answer: 4. Leads to ear pain due to Xth nerve

Explanation: (d) Leads to ear pain due to Xth nerve(Ref. Scott Brown, 8th ed., Vol 3; 742)Referred pain from tonsils is through the IXth i.e. Glossopharyngeal nerve.